Busacca's nodules:
1. Are a feature of nongranulomatous uveitis
2. Are situated at the pupillary border
3. Usually initiate posterior synechiae formation
4. Consists of lymphocytes, plasma cells, epitheloid and giant cells

Correct answer: 4. Consists of lymphocytes, plasma cells, epitheloid and giant cells

Explanation: Ans. Consists of lymphocytes, plasma cells, epitheloid and giant cells